Which of the following is FALSE about breast milk?
1. It has an energy value of 70 kcal per 100 ml
2. Maximum milk output is seen at 12 months following delivery
3. Coefficient of uptake of iron is 70 per cent for breast milk
4. Uptake of calcium from breast milk is higher than that from cow's milk

Correct answer: 2. Maximum milk output is seen at 12 months following delivery

Explanation: The mean output of breast milk at 0-2 months of lactation is 530 ml/day, at 5-6 months is 730 ml/day and at 11-12 months is 525 ml/day. Hence, during the first year, maximum milk output is seen at 5-6 months of lactation, while the minimum output is at 12 months. Ref: Park's Textbook Of Preventive And Social Medicine, By K. Park, 19th Edition, Pages 422, 429, 430.